Cause of athletic pubalgia is
1. Gluteus medius strain
2. Hamstring strain
3. Abdominal muscle strain
4. Rectus femoris strain

Correct answer: 3. Abdominal muscle strain

Explanation: Sports Hernia (Athletic Pubalgia) * Very Painful soft tissue injury that occurs in the lower abdominal or groin area. * Occurs in sports that involve sudden change of direction or intense twisting movement. * Most often affects the muscles within the lower abdomen CLINICAL SIGNS * Pain in the inguinal region, which may radiate to the thigh adductor muscle origins or to the scrotum and testicles, deeper , more proximal and more intense than an adductor or iliopsoas strain * Symptoms are usually unilateral (usually progresses to bilateral) * Point tenderness to the external ring of the inguinal canal and the pubis tubercle, the lower rectus abdominis musculature, or the pubic symphysis, without any palpable hernia. * Acute or chronic * Symptoms are usually exacerbated by kicking, sprinting, side-stepping, cutting, and/or performing sit-ups. * May complain of point tenderness over the superior-lateral pubis. * Pain exacerbation with cough or sneezing, or testicular pain in males Treatment * 4-6 week injury * Non-Surgical treatment: First 7-10 days, rest and ice (not directly to the skin) 15-20 minutes, 3-4 times a day. * 2 weeks in you may start physical therapy exercises to improve strength and flexibility. * N SAID 's * If pain returns after 4-6 weeks one may need surgery ref : maheswari 9th ed